Swallowing centre is situated in
1. Cortex
2. Midbrain
3. Pons
4. Medulla

Correct answer: 4. Medulla

Explanation: Of the given options, most appropriate would be "medulla". First stage of the swallowing is "oral stage"; it is a voluntary act. A voluntary motor act is initiated in the motor cortex. However, beyond this stage swallowing is a reflex act. Swallowing reflex is initiated by stimulation of receptors near the posterior pharyngeal wall, tonsillar pillars, and nearby areas. Afferent impulses for the reflex are conveyed by the trigeminal, glossopharyngeal, and vagus nerves. These impulses are integrated in the nucleus of tractus solitarius and nucleus ambiguus. The efferent impulses pass to the pharyngeal musculature and the tongue the trigeminal, facial, and hypoglossal nerves. Thus, the areas in the medulla and lower pons that control swallowing are collectively called the swallowing center.